50 year old, Rishi has a diagnosis of pulmonary tuberculosis. How many infectious nuclei per cough are likely to be seen in sputum examination?
1. 1000
2. 2000
3. 3000
4. 4000

Correct answer: 3. 3000

Explanation: Transmission of pulmonary TB to others is by droplet nuclei, which are aerosolized usually by coughing. The tiny droplets dry rapidly; the smallest (<5-10 m in diameter) may remain suspended in the air for several hours and may reach the terminal air passages when inhaled. There may be as many as 3000 infectious nuclei per cough. Reference: Harrisons Principles of Internal Medicine, 18th Edition, Page 1342